A circular bullet wound, erythema seen around the margin, blackening & tattooing present. What is the range?
1. Close shot entry wound
2. Close shot exit wound
3. Distant shot entry wound
4. Distant shot exit wound

Correct answer: 1. Close shot entry wound

Explanation: Ans. (A). Close shot entry wound(Ref: Essentials of Forensic medicine, Dr KS narayana Reddy, 33th Edition, P: 216)Presence of erythema, blackening & tattooing around the wound indicates that it is close shot.